A male patient presents with headache, profuse sweating and palpitations with a blood prssure of 180/120 mmHg. The drug of choice would be -
1. Nifedipine
2. Labetalol
3. Prazocin
4. Phenoxy benzamine

Correct answer: 4. Phenoxy benzamine

Explanation: Answer- D. Phenoxy benzamineSymptoms of the patient suggests pheochromocytoma .The drug of choice for pheochromocytomas is phenoxybenzamine